Prozone phenomenon is due to:-
1. Antigen excess
2. Antibody excess
3. Excessive immune complex
4. Acute phase reactants

Correct answer: 2. Antibody excess

Explanation: Most of the antigen antibody reactions occurs in three phases. Zone of antibody access- Prozone phenomenon Zone of equivalence- Lattice formation and visible reactions are enhanced. Zone of antigen excess- Post zone phenomenon